Bioavailability of Ramelteon is?
1. 2%
2. 7%
3. 10%
4. 30%

Correct answer: 1. 2%

Explanation: Reference: Goodman & Gilman's The Pharmacological Basis of Therapeutics, 12th ed., Pg. 1972.
Ramelteon is rapidly absorbed orally, undergoes extensive first pass metabolism in liver, so that bioavailability is low (F = 1.8%) and elimination t½ is 1–3 hours.